which of the antidepressent is used in low dose as hypnotic
1. trazadone
2. fluoxetine
3. fluvoxamine
4. bupropion

Correct answer: 1. trazadone

Explanation: SARI * IMPOANCE antidepressant with good sleep, no sexual problems and no GI side effects. It was thought this would replace SSRI but dint do well because of notorious side effects * MECHANISM Serotonin antagonist and reuptake inhibitor * DRUGS Trazodone Nefazodone * USE low dose trazodone is used as a hypnotic * SIDE EFFECTS Trazodone----------- priapism Nefazodone ---------hepatotoxicity Ref. kaplon and Sadock, synopsis of psychiatry, 11 th edition, pg no. 955